Risdon wiring is indicated for
1. Body fracture
2. Angle fracture
3. Symphysis fracture
4. Subcondylar fracture

Correct answer: 3. Symphysis fracture